Which of the following structures is not at immediate risk of erosion by cholesteatoma ?
1. Long process of incus
2. Fallopian canal containing facial nerve
3. Horizontal/ lateral semicircular canal
4. Base plate of stapes

Correct answer: 4. Base plate of stapes

Explanation: Ans. is 'd' i.e., Base plate of stapes Cholesteatoma has the property to destroy the bone by virtue of the enzymes released by it. Structures immediately at the risk of erosion are : - Long process of incus. Fallopian canal containing facial nerve. Horizontal / lateral semicircular canal